Intraepithelial vacuolation with formation of vesicle or bulla intraepithelially above the basal layer is characteristically seen in:
1. Candida alhicans
2. Bullous pemphigoid
3. Pemphigus
4. Lichen planus

Correct answer: 3. Pemphigus